Which of the following is universal donor blood group -
1. A
2. B
3. AB
4. O

Correct answer: 4. O

Explanation: Individuals with type O Rh D negative blood are often called universal donors, as they do not contain antigen A and B on the surface of their RBC and those with type AB Rh D positive blood are called universal recipients ref:harsh mohan text book pathology